A veterinary doctor had pyrexia of unknown origin. His blood culture in special laboratory media was positive for gram-negative short bacilli which was positive for gram-negative short bacilli which was oxidase positive. Which one of the following is the likely organism grown in culture?
1. Pasteurella spp
2. Francicella spp
3. Bartonella spp
4. Brucella spp

Correct answer: 4. Brucella spp

Explanation: Brucella spp are gram negative short bacilli which are oxidase positive. Brucellosis almost invariably presents with fever which when left untreated persists for weeks (Pyrexia of unknown origin). Also veterinarians are at occupationally exposed at risk of infections. Ref: Foodborne Pathogens: Hazards, Risk Analysis, and Control edited by Clive De W. Blackburn, Peter J. McClure, 2002, Page 503; Textbook of Microbiology By Ananthanarayan and Panicker, 7th Edition, Pages; Harrison's Principles of Internal Medicine, 17th Edition, Page; Medical Microbiology By MIMS, Page 531